The amount of water absorbed in the intestine in a day is
1. 5 lit.
2. 1 lit.
3. 10 lit.
4. 8 lit.

Correct answer: 4. 8 lit.

Explanation: In the intestine, about 8.8 litres of water is absorbed daily.